Which of the following is not true about fresh water drowning ?
1. Hyperkalemia
2. Hypovolemia
3. Hemolysis
4. Ventricular fibrillation

Correct answer: 2. Hypovolemia

Explanation: When fresh water enters the alveolar spaces, it is rapidly absorbed into the pulmonary circulation resulting in gross local haemodilution. They observed that within 3 minutes, the circulating blood could be diluted by as much as 72%, and this massive increase in blood volume leads to bursting of the red blood cells with coincident liberation of potassium (a potent myocardial toxin). This causes increase in the plasma potassium with corresponding reduction in the sodium. In consequence of this electrolyte imbalance, heart suffers a 'serious biochemical insult' as remarked by Donald. Due to this insult to the heart, ventricular fibrillation sets in. Although the heart may continue to beat feebly for several minutes, the severe cerebral anoxia thus produced forms the immediate cause of death Ref : Krishnan vij Textbook of Forensic medicine and Toxicology 5th edtion ; pg no - 136